Negri bodies are commonly found in:
1. Hippocampus
2. Hypothalamus
3. Medulla
4. Mid brain

Correct answer: 1. Hippocampus

Explanation: Hippocampus